In burns management, which of the following is the fluid of choice?
1. Dextrose 5%
2. Normal saline
3. Ringer lactate
4. Isolyte-M

Correct answer: 3. Ringer lactate

Explanation: Ringer Lactate is most commonly used. Some centres use human albumin, FFP or hypertonic saline.